Cardiopulmonary manifestation of hyperthyroidism-a) Tachycardiab) Sinus bradycardiac) Cardiomegalyd)  Low output cardiac failure
1. a
2. bc
3. ac
4. b

Correct answer: 3. ac